All of the following statements are true about diphtheria except:
1. Toxin production depends on lysogenic conversion by beta phage
2. Non sporing, non-motile and non-capsulated
3. Toxin detection is done by ELISA test in serum
4. Faucial diphtheria is commonest type

Correct answer: 3. Toxin detection is done by ELISA test in serum

Explanation: Ans. C. Toxin detection is done by ELISA test in serum.Toxin is produced locally and is absorbed from the local site of multiplication causing toxemia. However, toxin may not always be detectable in the serum.